The most effective noninvasive test for the diagnosis of Helicobacter-associated gastric ulcers is
1. Detection of H. pylori antigen in stool
2. Growth of H. pylori from a stomach biopsy
3. Growth of H. pylori in the stool
4. IgM antibodies to H. pylori

Correct answer: 1. Detection of H. pylori antigen in stool

Explanation: H. pylori antigen tests using an ELISA format and a monoclonal antibody to H. pylori are as sensitive as culture of the control portion of the stomach. Urea breath tests are also widely used. H. pylori has an active enzyme (urease) which breaks down radioactive urea. The patient releases radioactive CO2 if H. pylori are present. H. pylori antibody tests, IgG and IgA, indicate the presence of H. pylori and usually decline after effective treatment. Culture of stomach contents is insensitive and not appropriate as a diagnostic procedure for H. pylori. Direct tests such as antigen or culture of gastric mucosa are preferred because they are the most sensitive indication of a cure.